A 65-year-old woman whose husband died one week ago reports that she cries much of the time and has difficulty in sleep. Also, she states that she saw her husband walking down the street yesterday for a moment. The most appropriate first action by her physician is to
1. Recommend a vacation
2. Provide support and reassurance
3. Prescribe antipsychotic medication
4. Prescribe antidepressant medication

Correct answer: 2. Provide support and reassurance

Explanation: The women is experiencing a normal grief response. During the grief, there may be transitory hallucinations. In this case, patient just needs to be provided with support and reassurance. However if the question had reported frequent and regular hallucinations, addition of an antipsychotic would become the right answer